Sacrotuberous ligament is pierced by ?
1. SI nerve
2. L5 nerve
3. Coccygeal nerve
4. None

Correct answer: 3. Coccygeal nerve

Explanation: Ans. is 'c' i.e., Coccygeal nerve Sacrotuberous ligament is pierced by :-Perforating cutaneous nerveFifth sacral (S5) and cocygeal nervesBranches of coccygeal plexusCoccygeal branch of inferior gluteal artery